Which of the following is a New drug approved in treatment of Glaucoma ?
1. NETARSUDIL
2. SEMAGLUTIDE
3. ETELCALCETIDE
4. PLECANATIDE

Correct answer: 1. NETARSUDIL

Explanation: NETARSUDIL: a. Used for glaucoma b. Inhibitor of Rho kinase c. Increases aqueous outflow by unknown mechanism SEMAGLUTIDE: a. Recombinant GLP analogue b. Orally effective peptide (unlike other drugs ending with TIDE) c. Approved for Type 2 diabetes mellitus ETELCALCETIDE: a. Calcium sensing receptor agonist b. Calcimimetic drug c. Used for hyperparathyroidism PLECANATIDE: a. Stimulates Guanylate cyclase-C b. Approved for chronic idiopathic constipation